A woman aged 35 year with delayed cycles and a history of primary infertility. On laparoscopic examination she has a normal uterus with bilateral enlarged ovaries, normal fallopian tubes, chromotubation shows blue dye spillage. What is the most probable cause?
1. Endometriosis
2. PCOS
3. Ovarian cyst
4. Tubo Ovarian mass

Correct answer: 2. PCOS

Explanation: PCOS (polycystic Ovarian Syndrome) / Stein Leventhal syndrome Features of PCOD / PCOS Obesity Insulin resistance / hyperinsulinemia Hyperandrogenemia Anovulation Metabolic X syndrome Oligomenorrhea Amenorrhoea Rotterdam / Eshre /Androgen excess Society /ASRM criteria Diagnostic requisites : Any 2 out of 3 Anovulation/ oligo-ovulation Hyperandrogenism: clinical or laboratory evidence of androgen excess Polycystic ovaries on USG (12 or more follicles measuring less than 9 mm or ovarian volume of > 10 mL) In the image shown, ovaries are bulky in size (suggestive of PCOS) and patient has history of oligo ovulation as suggested by delayed cylces and infertility. There are no endometriotic cysts or peritoneal implants ruling out endometriotic cyst The tubes and ovaries show no ovarian cyst or tubo ovarian mass.